Maternal zinc deficiency leads to :
1. Anencephaly
2. Low birth weight
3. Spontaneous abortion
4. All of the following

Correct answer: 4. All of the following